All the following antibiotics act on the cell wall except-
1. Ampicillin
2. Bacitracin
3. Cycloserine
4. Griseofulvin

Correct answer: 4. Griseofulvin

Explanation: Ans. is 'd' i.e., Griseofulvin